Single drug used for treatment of trachoma is:
1. Tetracyclin
2. Doxycycline
3. Azithromycin
4. Chloramphenicol

Correct answer: 3. Azithromycin

Explanation: Ans. C: Azithromycin The WHO recommends 2 antibiotics for trachoma control: oral azithromycin and tetracycline eye ointment. Azithromycin is better than tetracycline, but it is more expensive. Azithromycin is the drug of choice because it is easy to administer as a single oral dose. Its administration can be directly observed. Therefore, compliance is higher than with tetracycline and can actually be measured, whereas, with the home administration of tetracycline, the level of compliance is unknown. Azithromycin has high efficacy and a low incidence of adverse effects. When adverse effects occur, they are usually mild; gastrointestinal upset and rash are the most common adverse events. Infection with C trachomatis occurs in the nasopharynx; therefore, patients may reinfect themselves if only topical antibiotics are used. Beneficial secondary effects of azithromycin include its treatment of genital, respiratory, and skin infections.